Rheumatoid factor is directed against ?
1. IgG
2. IgD
3. 1gM
4. IgA

Correct answer: 1. IgG

Explanation: Ans. is 'a' i.e., IgG Rheumatoid factor in Rheumatoid Arthritis is an IgM antibody directed against the Fc fragment of IgG. Rheumatoid factor in Rheumatoid Arthritis is an IgM antibody directed against the Fe fragment of IgG. Anti CCP antibodies are most specific blood test for rheumatoid arthritis (specificity - 95%). Rheumatoid factor is positive in only 10% of patients with JRA.